An increased incidence of cholangiocarcinoma is seen in all of the following except
1. Hydatid cyst of liver
2. Polycystic disease of liver
3. Sclerosing cholangitis
4. Liver flukes

Correct answer: 1. Hydatid cyst of liver